Streptokinase was infused in a patient for the management of deep vein thrombosis, following which the patient developed hematemesis. Which of the given agents can be chosen to manage this episode of hematemesis?
1. Vitamin K
2. Noradrenaline
3. Epsilon amino caproic acid
4. Rutin

Correct answer: 3. Epsilon amino caproic acid

Explanation: Tranexamic acid and EACA are antifibrinolytic drugs which are used as antidotes for the management of fibrinolytic drug poisoning.